Multiple proteins from a single gene may be generated by:
1. Alternative splicing
2. Mutations in the promoter of the gene
3. RNA interference
4. mRNA capping

Correct answer: 1. Alternative splicing

Explanation: Multiple proteins from a single gene may be generated by Alternative splicing Differential RNA processing The genome is same in all the somatic cells. But the transcriptome is different. Around 25,000 proteogenic genes code for more than 2 lakh proteins. Thus, proteome is more diverse than transcriptome. This is due to differential RNA processing/ Alternate RNA splicing/RNA editing/Alternate promoter utilisation/Alternate polyadenylation. -Mutation in the promoter leads to | frequency of transcription - option b is excluded. -RNA interference | half-life of mRNA - option c is excluded. -Alternate polyadenylation produces different proteins, not capping - option d is excluded.